Marker of chronic inflammation is?
1. IL-1, IL-6
2. IL-1, TNF
3. IL-6, TNF
4. IL-12, IFN-g

Correct answer: 4. IL-12, IFN-g

Explanation: Interleukin 12 and Interferon-gamma are the major markers of chronic inflammation. REF:Textbook of microbiology, Ananthanarayan, and Paniker.